Which among the following sites are involved in "undertakers fracture"?
1. Skull
2. Cervical spine
3. Pelvis
4. Mandible

Correct answer: 2. Cervical spine

Explanation: The so called undertaker fracture is caused due to the head falling backward forcibly after death. It usually causes one of intervertebral discs (usually around C6 or C7) to tear open and results in the subluxation of the lower cervical spine. Ref: Textbook of Forensic Medicine and Toxicology by Narayan Reddy, Edition 21, Page - 92